The type of lymphocyte which is predominent in chronic lymphatic leukemia -
1. T lymphocyte
2. B lymphocyte
3. K cells
4. Helper T lymphocyte

Correct answer: 2. B lymphocyte